For biochemical analysis vitreous in sent in -
1. Hydrochloric acid
2. Phenol
3. Formalin
4. Fluoride

Correct answer: 4. Fluoride

Explanation: 10 mg fluoride in every 1 ml of vitreous humor is added for preservation in analysis of alcohol, cocaine, cyanide and CO. Dr. Narayana Reddys Synopsis of Forensic Medicine & Toxicology 27 th edition pg. 62.